Hypercalcaemia in ECG is diagnosed by
1. Increased QT interval
2. Decreased QT interval
3. Increased PR interval
4. Tall T waves

Correct answer: 2. Decreased QT interval

Explanation: Hypocalcemia typically prolongs the QT interval (ST portion), whereas hypercalcemia shortens it .Digitalis glycosides also shorten the QT interval, often with a characteristic "scooping" of the ST-T-wave complex (digitalis effect). Ref Harrison 20th edition pg 1532